Maturation index during pregnancy:
1. 0, 40, 50
2. 50, 40, 0
3. 0, 0, 100
4. 0, 95, 5

Correct answer: 4. 0, 95, 5